Cerebral blood supply
1. 55 ml/100 gm/min
2. 400 ml/100 gm/min
3. 100 ml/100 gm/min
4. 200 ml/100 gm/min

Correct answer: 1. 55 ml/100 gm/min

Explanation: The average cerebral blood flow in young adults is 54 mL/100 g/minRef: Ganong's Review of Medical Physiology Twenty-Third Edition Page No: 575